Most common organism responsible for gas gangrene is:
1. Clostridium perfringens
2. Clostridium difficile
3. Clostridium tetani
4. Clostridium botulism

Correct answer: 1. Clostridium perfringens

Explanation: MC cause of gas gangrene is Cl. perfringens type A.